A patient with leprosy had slightly erythematous, anesthetic plagues on the trunk and upper limbs. He was treated with paucibacillary multidrug therapy (PB-MDT) for 6 months. At the end of 6 months, he had persistent erythema and induration in the plaque. The next step of action recommended by the WOrld Health Organization (WHO) in such a patient is -
1. Stop antileprosy treatment
2. Continue PB-MDT till erythema subsides
3. Biopsy the lesion to document activity
4. Continue dapsoen alone for another 6 months

Correct answer: 1. Stop antileprosy treatment

Explanation: Stop antileprosy treatment. According to WHO treatment guidelines for leprosy -all MB patients who have completed 12 or more doses of WHO MDT for Multibacillary leprosy 'should be regarded as cured' and removed from the registers. It is not necessary to give MDT to PB patients until clinical inactivity . In a large number of patients it is not possible to clinical inactivity in six months even though all organisms are killed. Reference:Park's textbook of preventive and social medicine,K.Park,21st e pg no.299,22nd edition,page no:298 and WHO website..